Glycine can be synthesized by all except:
1. Glyoxalate
2. Leucine
3. Serine
4. Threonine

Correct answer: 2. Leucine

Explanation: Glycine metabolism The pink boxes (serine, threonine, and glyoxylate)are the one from which glycine can be formed Substrate Enzyme catalysing Threonine Threonine aldolase Serine serine-hydroxy methyl transferase Glyoxylate glycine transaminase Extra information: Glycine can also be synthesized from choline through betaine and sarcosine as intermediates in the pathway.